All of the following are decrease in Nephrotic syndrome except -
1. Transferrin
2. Ceniloplasmin
3. Fibrinogen
4. Albumin

Correct answer: 3. Fibrinogen